Rigler's triad doesn't include
1. Pheumobilia
2. Ectopic stone
3. Cholangitis
4. Intestinal obstruction

Correct answer: 3. Cholangitis

Explanation: Rigler's triad is a combination of findings on an abdominal radiograph of people with gallstone ileus, a condition where a large gallstone causes bowel obstruction.it consists of 
(a) Small bowel obstruction,
(b) a gallstone outside the gallbladder
(c) air in the bile ducts(pneumobilia).